Which of the following is absolutely essential for wound healing
1. Vit D
2. Carbohydrates
3. Vit C
4. Balanced diet

Correct answer: 3. Vit C

Explanation: refrobbins 7/e p 114;9/e p106 synthesis of collagen. It is also a highly effective antioxidant protecting cells from damage by free radicals. Studies have shown that the vitamin can help speed thehealing process of wounds.